Effective literacy rate is calculated from
1. Those who have completed 15 year schooling
2. Those who have completed 10 year schooling
3. Those above age of 7 years
4. Total population

Correct answer: 3. Those above age of 7 years